The most common manifestation of congenital toxoplasmosis -
1. Hydrocephalus
2. Chorioretinitis
3. Hepatospienomegaly
4. Thrombocytopenia

Correct answer: 2. Chorioretinitis

Explanation: Ans. is 'b' i.e., Chorioretinitis